Recommended reflection factors include each of the following, except –
1. Ceilings 80%
2. Roofs 40%
3. Walls 50 to 60%
4. Furnitures 30 to 40%

Correct answer: 2. Roofs 40%